All of the following statements about Androgen Insensitivity Syndrome are true except:
1. Patients have an XY genotype
2. Pubic hair are abundant
3. Short vagina may be present
4. Ovaries are absent

Correct answer: 2. Pubic hair are abundant

Explanation: Ans. is b, i.e. Pubic hair are abundantIn these patients testis are intra-abdominal which can present in the form of bilateral inguinal hernia and since the entire testosterone is converted to estrogen hence these patients are tall.